Graze is a form of:
1. Contusion
2. Abrasion
3. Lacerated wound
4. Incised wound

Correct answer: 2. Abrasion

Explanation: Ans. Abrasion